The number of muscle fibers innervated by a motor axon is smallest in
1. Gastrocnemius
2. Orbicularis oculi
3. Single unit smooth muscle
4. Soleus

Correct answer: 2. Orbicularis oculi

Explanation: The extraocular and hand muscles have an innervations ratio of 3 to 6 whereas gastrocnemius and back muscle has a ratio of 2000.(Refer Medical Physiology by Guyton & Hall, 12th edition, page no: 96)